Features of pneumothorax are all except –
1. Devoid of lung markings
2. Hypertranslucency
3. Shift of mediastinum to same side
4. Collapse of ipsilateral lung

Correct answer: 3. Shift of mediastinum to same side

Explanation: There is shift of mediastinum to opposite (contralateral) side (not same side).